Calcification in necrotic tissue is called ?
1. Metastatic calcification
2. Dystrophic calcification
3. Calcinosis
4. Tumoral calcinosis

Correct answer: 2. Dystrophic calcification

Explanation: Ans. is 'b' i.e., Dystrophic Calcification